A 50-year-old female with rheumatoid arthritis is being considered for infliximab therapy. Which of the following tests should be performed before beginning treatment?
1. Liver function tests
2. PPD skin test
3. Pulmonary function tests
4. Visual examination

Correct answer: 2. PPD skin test

Explanation: Infliximab is a monoclonal antibody targeting TNF-a. It is commonly used to treat moderate to severe rheumatoid arthritis particularly in patients who do not respond to methotrexate therapy. TNF-a inhibitors can lead to reactivation of latent tuberculosis due to TNF-a inhibitor action. All patients being considered for TNF-a inhibitor therapy should therefore have a baseline PPD skin test to screen for latent tuberculosis.